QT prolongation is seen in all except
1. Hypothermia
2. Digitalis toxicity
3. Hypocalcaemia
4. Romanowand syndrome

Correct answer: 2. Digitalis toxicity

Explanation: Hypocalcemia typically prolongs the QT interval (ST portion), whereas hypercalcemia shortens it . Digitalis glycosides also shorten the QT interval, often with a characteristic "scooping" of the ST-T-wave c (digitalis effect). Ref Harrison 20th edition pg 1534